Which anti TB drug is contraindicated throughout the pregnancy:
1. Rifampicin
2. Streptomycin
3. Isoniazid
4. Ethambutol

Correct answer: 2. Streptomycin

Explanation: Ref: KDT 6th ed. pg. 743-744* Streptomycin has been assigned to pregnancy category D by the FDA.* Streptomycin crosses the placenta; reported cord concentrations have been equal to or less than the mother's serum concentration.* There are reports of fetal eighth cranial nerve damage with subsequent bilateral deafness. Most authorities, including the Centers for Disease Control and the American Thoracic Society, discourage the use of streptomycin during pregnancy due to the risk of fetal ototoxicity.* Note: Streptomycin is no longer an ATT drug